Ring-shaped epiphyses are seen in
1. Osteogenesis imperfect
2. Morquios syndrome
3. Zellweger syndrome
4. Multiple epiphyseal dysplasia

Correct answer: 1. Osteogenesis imperfect

Explanation: Ring-shaped epiphysisHypothyroidismOsteogenesis imperfectOsteopetrosisOsteoporosisRickets Scurvy(Refer: Manish Kumar Varshney's Essential Orthopedics Principles & Practice, 1st edition, pg no. 614)